Superficial inguinal ring in the female transmits:
1. Broad ligament of uterus
2. Round ligament of the uterus
3. Cardinal ligament
4. None of the above

Correct answer: 2. Round ligament of the uterus

Explanation: The superficial inguinal ring is a triangular aperture in the aponeurosis of the external oblique muscle and is situated above and medial to the pubic tubercle. In the female, the superficial inguinal ring is smaller and difficult to palpate; it transmits the round ligament of the uterus.